True about blood transfusion reaction -a) Complement mediated severe haemolysisb) Renal blood flow is decreasedc) Transfusion should not be stoppedd) Death is not seen
1. ac
2. ab
3. ad
4. bc

Correct answer: 2. ab